Most common histological subtype of cancer endometrium is :
1. Mucinous carcinoma
2. Clear cell carcinoma
3. Squamous cell carcinoma
4. Endometrioid adenocarcinoma

Correct answer: 4. Endometrioid adenocarcinoma

Explanation: Histologically most of the endometrial cancers are Adenocarcinomas Hence they are called endometriod adenocarcinoma About 10-15% are Papillary serous Clear cell Adenosquamous Pure squamous Ref : Shaw Gynecology 17e pg 434.